Treatment of sexual partner is required for all except:
1. Gardnerella vaginalis
2. Mycoplasma genitalium
3. Trichomonas vaginalis
4. Chlamydia trachomatis

Correct answer: 1. Gardnerella vaginalis

Explanation: Ans. A. Gardnerella vaginalisGardnerella vaginalis and Mobiluncus cause bacterial vaginosis which is not a sexually transmitted disease